Die spacers are applied in several coats within…………………of the preparation line
1. 0.3 mm
2. 0.5 mm
3. 1.5 mm
4. 1.0 mm

Correct answer: 2. 0.5 mm